The following are adverse effects of SSRIs except
1. Weight changes
2. Diarrhoea
3. Delayed ejaculation
4. Galactorrhea

Correct answer: 4. Galactorrhea

Explanation: Galactorrhea is a side effect of hyperprolactinemia is not usually seen with SSRIs Side effects of SSRIs include weight changes, delayed ejaculation,diarrhoea,bleeding , discontinuation syndrome,insomnia. Ref: KD Tripathi 8th ed.